Intermittent dysphagia is caused by -a) Strictureb) Reflux esophagitisc) Achalasia cardiad) Pharyngeal diverticulme) Diffuse esophageal spasm
1. ab
2. bc
3. cd
4. de

Correct answer: 4. de